The most important adverse effect of i.v. administration of large dose of an amide anaesthetic is :
1. Bronchoconstriction
2. Hepatic damage
3. Renal failure
4. Seizures

Correct answer: 4. Seizures